First sign of puberty in boys is
1. Testes enlargement
2. Breast enlargement
3. Penis enlargement
4. Scrotum enlargement

Correct answer: 1. Testes enlargement

Explanation: (Testes enlargement) (68-G) (498-Ghai 7th)First sign of sexual maturation is enlargement of breast in female and testes in boy (68-G)* Pubertal onset before he age of 8 years in girl and 9.5 years in boys is suggestive of precocious pubertyAdolescentWHO/UN definitionsStages of adolescence* Adolescent = 10-19 years* Youth = 15-24 years* Young people = 10-24 years* Early adolescence = 9-13 years* Mid adolescence = 14-15 years* Late adolescence = 16-19 years* Menarche usually occurs at breast and pubic hairs stage 4